A two months old child presents with epiphora and regurgitation. The most probable diagnosis is-
1. Mucopurulent conjunctivitis
2. Buphthalmos
3. Congenital dacryocystitis
4. Encysted mucocele

Correct answer: 3. Congenital dacryocystitis

Explanation: Epiphora in 2 months old child can be caused by ophthalmia neonatorum (mucopurulent conjunctivitis of newborn), buphthalmos (congenital glaucoma) and congenital dacryocystitis. However, regurgitation of mucopurulent discharge on pressure over the sac area is seen in congenital dacryocystitis.